Which one of the following drugs is not a non depolarizing competitive neuromuscular blocker?
1. Doxacurim
2. Decamethonium
3. Rocuronium
4. Mivacurium

Correct answer: 2. Decamethonium